Frequency of woods lamp is -
1. 365 nm
2. 400 nm
3. 320 nm
4. 200 nm

Correct answer: 1. 365 nm

Explanation: Ans. is 'a' i.e., 360 nm Wood's lampo Wood's lamp has an ultraviolet light lamp (365 nm) with a filter containing nickle oxide and barium silicate. The UV light, when absorbed by certain substances, fluorescences in dark and the color of fluorescence is useful in diagnosis of the condition.ConditionFluorescent coloursTinea capitisErythrasmaVitiligoAlbinismLeprosyTuberous sclerosisPseudomonas infectionPorphyriaTinea versicolorBright yellow greenCoral red or pinkMilky whiteBlue whiteBlue whiteBlue whiteGreenish whitePink/orangeGolden yellow